Which of the following is a prokinetic drug -
1. Domperidone
2. Cimetidine
3. Ondansetron
4. Hyoscine

Correct answer: 1. Domperidone

Explanation: Ans. is 'a' i.e., Domperidone